Structures preserved in modified radical neck dissection are all except:
1. Accessory nerve
2. Sternocleidomastoid muscle
3. Submandibular gland
4. Internal jugular vein

Correct answer: 3. Submandibular gland